Color of postmortem lividity in hypothermic death -
1. Purple
2. Deep red
3. Cherry red
4. Bright pink

Correct answer: 4. Bright pink

Explanation: Postmortem hypostasis is bright pink in hypothermia as wet skin allows atmospheric oxygen to pass through and at low temperatures hemoglobin has high affinity for oxygen. Dr.Narayana Reddys Synopsis of Forensic Medicine and Toxicology 27th edition pg. 76.